Four vessel carotid angiography done by injecting dye into-
1. Radial artery
2. Brachial artery
3. Cubital vein
4. Femoral artery

Correct answer: 4. Femoral artery

Explanation: Four vessel carotid angiography is usually done by injecting dye into: Femoral artery